Barlow's syndrome is due to deficiency of which vitamin
1. Vitamin E
2. Vitamin B6
3. Vitamin B1
4. Vitamin C

Correct answer: 4. Vitamin C

Explanation: Infantile Scurvy is also called Barlow syndrome, it occurs due to Vitamin C deficiency.